Which of the following helps to prevent premature LH surge during oocyte retrieval for in vitro fertilization
1. HCG
2. Oestrogen
3. Progesterone
4. Leuprolide

Correct answer: 4. Leuprolide

Explanation: Leuprolide (GnRH agonist) prevents the possibility of spontaneous LH surge and ovulation prior to egg retrieval.